Post-splenectomy, the patient is in need of ______ vaccination
1. Pneumococcal
2. Rota virus
3. BCG
4. MMR

Correct answer: 1. Pneumococcal